The "Van Nuys grading" is used for
1. LCIS
2. DCIS
3. Medullary carcinoma breast
4. IDC

Correct answer: 2. DCIS

Explanation: Ans. (b) DCIS(Ref: Sabistons Textbook of Surgery, 20th ed p-853)* DCIS prognosis is based on Van Nuy's Grading* Van Nuys Grading is used to decide whether RT can be avoided in selective cases after Lumpectomy* Van Nuys favorable cases for whom RT can be avoided are - Low and Intermediate grade, DCIS <2.5cm size and Margin minimum 1cm after excision